Three point relationship is reversed in all, except
1. medial epicondyle
2. lateral epicondyle
3. Supracondylar
4. Posterior elbow dislocation

Correct answer: 3. Supracondylar

Explanation: Ans. is 'c' i.e Supracondylar Three bony point relationship : The three prominent bony points around the elbow are *:The medial epicondyleLateral epicondyleTip of olecranon& head of radius is sometimes considered as 4th bony point.Normally, in an elbow flexed to 90 degrees, these three bony points form a near isosceles triangle but they lie in a straight horizontal line in an extended elbow.These three bony points are important landmarks in diagnosis of injuries around the elbow.In supracondylar fracture-the three bony point relationship is maintained as in a normal elbow. Because the fracture line is above the condyles.